The upper lip is derived from
1. Maxillary prominence and mandibular prominence
2. Maxillary prominence and medial nasal prominence
3. Maxillary prominence and lateral nasal prominence
4. Mandibular prominence and medial nasal prominence

Correct answer: 2. Maxillary prominence and medial nasal prominence

Explanation: The upper lip is formed by the fusion of two maxillary prominences with the two medial nasal prominences Ref : Langman's Medical Embryology 14e pg 295,298.